Ghost (shadow) cells are seen in
1. Arnetoblastic fibroodontoma
2. calcifying odontogenic cyst
3. compound odontoma
4. all of the above

Correct answer: 4. all of the above